Xerosis is seen in:
1. Vitamin A deficiency
2. Vitamin B deficiency
3. Vitamin C deficiency
4. Vitamin D deficiency

Correct answer: 1. Vitamin A deficiency

Explanation: Ans. A: Vitamin A deficiency